All cause myelosuppression except :
1. Docetaxel
2. Vincristine
3. Methotrexate
4. Irinotecan

Correct answer: 2. Vincristine